Bilateral loss of ankle jerk and extensor plantar response is seen in:
1. Amyotrophic lateral sclerosis
2. Freidrich's ataxia
3. Tabes dorsalis
4. Lead poisoning

Correct answer: 2. Freidrich's ataxia

Explanation: Answer is B (Friedrich's ataxia): Absent deep tendon reflexes despite corticospinal tract involvement with an extensor plantar reflex is characteristic of Friedrich's ataxia. Disorder Pyramidal tract Posterior column Deep tendon Planter Associations involvement involvement reflexes Neurological Others Friedrich's ataxia Present Present Areflexia" Extensor - Wide based - Cardiomyopathy (genetic) (Areflexia despite corticospinal involvement) Q ataxia - Nystagmus - Dysarthria - Optic atrophy - Skeletal abnormality - Dysmetria - Diabetes mellitus SACD Present Present Exaggerated Extensor Spastic gait Low serum B12 (4, B12) usuallyQ (may be decreased increased or absent) (initially ataxic) megaloblastic anemia Tabes dorsalis Absent Absent AreflexiaQ Absent Argyll Atonic bladder (tertiary syphilis) Robertson pupil